Ground glass appearance is not seen in
1. Hyline membrane disease
2. Left to right shunts
3. Pneumonia
4. Obstructive TAPVC

Correct answer: 2. Left to right shunts

Explanation: B i.e. Left to Right Shunt Ground Glass Appearance It is radiological marker of pathology in air space or interstitiumQ. Presents with increased lung density which on chest X Ray obscures broncho vesicular markings (but present on CT ; if bronchial & vascular markings are absent both in X Ray & CT then k/a consolidation) Total Anomalous Pulmonary Venous Drainage (TAPVD) Due to Interstial & alveolar edema caused by pulmonary venous hypertension Obstructed TAPVD usually presents in neonatal period with cynosis and severe respiratory distress and it is difficult to differentiate it from pulmonary hypertension & severe pulmonary disease.